All of the following decrease in Nephrotic syndrome except -
1. Fibrinogen
2. Thyroxin
3. Transferrin
4. Albumin

Correct answer: 1. Fibrinogen

Explanation: In nephrotic syndrome, there will be loss of endogenous anticoagulants(antithrombin|||, protein c & s) and antiplasmins in urine which results in the increased liver synthesis of procoagulants factors, and there will be decreased fibrinolysis. Highly selective proteinuria consists mostly of low molecular weight proteins(albumin70kd,transferrin76kd molecular weight), whereas poorly selective proteinuria consists of higher molecular weight globulin in addition to albumin.